Elimination of leprosy is defined as prevalence -
1. <1 per 1000
2. <1 per 10000
3. <1 per 1 lakh
4. <1 per 100

Correct answer: 2. <1 per 10000

Explanation: Elimination of leprosy means prevalence of less than 1 case per 10,000 population in all districts of the country. {Reference-park's textbook of preventive and social medicine, 23rd edition, pg no.424}